Shortest incubation period -
1. Pertusis
2. Influenza
3. Diphtheria
4. Measles

Correct answer: 2. Influenza

Explanation: Ans. is 'b' i.e., Influenza Respiratory tract infectionsDiseaseCausative organismIncubation periodSmall poxVariola virus7-14 daysChicken poxHuman (alpha) herpes virus314-16 daysMeasles (Rubeolla)RNA paramyxovirus10-14 daysRubella (German Measles)RNA Togavirus14-21 daysMumpsRNA Myxovirus14-18 daysInfluenzaOrthomyxovirus18-72 hoursDiphtheriaCorynebacterium diphtheriae2-6 daysPertussis (Whooping cough)Bordetella pertussis7-14 daysMeningococcal meningitisNeisseria meningitis3-4 daysSARSCorona virus3-5 daysTuberculosisMycobacterium tuberculosisWeeks-years